Which anti-epileptic drug will cause hirsutism in a 30 year old woman:
1. Phenytoin
2. Carbamazepine
3. Valproate
4. Ethosuximide

Correct answer: 1. Phenytoin

Explanation: Ans. A i.e. Phenytoin Dermatologic side-effects of Phenytoin includes hypertrichosis, rash, exfoliative dermatitis, pruritis, hirsutism, and coarsening of facial features.